Which of the following is not true about hand instruments used in Operative Dentistry?
1. They are generally made of stainless steel
2. Nickel-Cobalt-chromium is never used in its fabrication
3. Carbon steel is more efficient than stainless steel
4. It can be made with stainless steel with carbide inserts

Correct answer: 2. Nickel-Cobalt-chromium is never used in its fabrication